The amino acid residue having iminoside chain is?
1. Lysine
2. Arginine
3. Tyrosine
4. Proline

Correct answer: 4. Proline

Explanation: The side chain of proline makes pyrrolidine ring structure with imino group.